If both parents have type 2 diabetes, the risk of inheritance of diabetes is
1. 10%
2. 20%
3. 30%
4. 40%

Correct answer: 4. 40%

Explanation: Inheritance of Diabetes: The risk of developing type 1 diabetes if either parent is affected is 3 to 5%. Type 2 diabetes has a much stronger genetic component. If both parents have type 2 diabetes, the risk of developing it approaches 40%. (Ref: William's Obstetrics; 25th edition)